A 50-year-old man with a history of type 2 diabetes mellitus asks about the chances that his children will inherit this metabolic disorder. The patient is told that he has a genetic disease that shows which of the following patterns of inheritance?
1. Autosomal dominant
2. Autosomal recessive
3. Multifactorial
4. X-linked dominant

Correct answer: 3. Multifactorial

Explanation: Most of the common chronic disorders of adults represent multifactorial genetic diseases that tend to "run in families." Such maladies include diabetes, atherosclerosis, and many forms of cancer, arthritis, and hypertension. Fragile X syndrome and Duchenne-Becker muscular dystrophy are examples of X-linked recessive genetic diseases.Diagnosis: Diabetes mellitus